Flexor pollicis longus is supplied by -
1. Ulnar nerve
2. Anterior interosseus nerve
3. Posterior interosseus nerve
4. Radial nerve

Correct answer: 2. Anterior interosseus nerve